Disease spreading through water is:
1. Hepatitis B
2. Hepatitis C
3. HIV
4. Typhoid

Correct answer: 4. Typhoid

Explanation: Ans: d (Typhoid) Ref: Park, 19 ed, p. 571This is a direct pick from park.Water related disease are:BiologicalChemicalBiological1) Presence of infectious agent:Viral-Bacteria-Protozoa-Helminth-Leptospiral-Hep ATyphoidAmoebiasisRoundwormWeils diseaseHepEParatyphoidGiardiasisthreadworm Polio,Cholera hydatid disease RotaE. coli diarrhoea 2) Presensce of aquatic hostSnail:Cyclops:SchistosomiasisGuinea wormFish tape wormChemical: Pollutants like detergents, solvents, heavy metals, dyes, ammonia, sulphides, toxic and biocidal compounds etc.